The first virological marker following acute infection with HBV is :
1. HBs Ag
2. Anti HBs Ag
3. IgM anti FIBc Ag
4. Anti HBe Ag

Correct answer: 1. HBs Ag

Explanation: Answer is A (H Bs Ag): The earliest marker appearing in serum in acute Hepatitis B infection is HBs Ag. After infection the first virological marker detectable in serum is -- HBsAgQ - it precedes elevation of serum aminotransferases as well as clinical symptoms. Q - it remains elevated during the entire icteric or symptomatic phase of acute hepatitis B & beyond. Q Anti Hbs Ag appears only after Hbs Ag has disappeared (occasionally after a gap of several weeks). IgM Anti 14BcAg is demonstrable in serum beginning within 1-2 weeks after the appearance of HBsAg. e HBcAg is sequestrated and not detectable routinely in the serum. Q Anti I-IBe Ag appears shortly before disappearance of Hbs Ag. HBeAg appear concurrently or shortly after HBsAg Q.This too is detectable during the acute phase.